All of the following are the risk factors for testicular tumors except:
1. Testicular feminization syndrome
2. Klinefelter's syndrome
3. Administration of DES in utero
4. Acute Epididymo- Orchitis (EDO)

Correct answer: 4. Acute Epididymo- Orchitis (EDO)

Explanation: Risk factors for testicular tumors- Cryptorchidism- Testicular feminization syndrome (androgen insensitivity syndrome)- Klinefelter's syndrome- H/O testicular tumor in siblings- Personal H/O TT- increases risk of contralateral testicular tumor- In-utero exposure of DES (Diethyl stilbestrol)